Acute appendicitis is characterized by all of the following except:
1. Anorexia
2. Rovsing's sign
3. Fever >42 degree celsius
4. Peri-umbilical colic

Correct answer: 3. Fever >42 degree celsius

Explanation: Ans. C: Fever >42 degree celsiusAppendicitis is more common in men The risk of perforation is:Less than 10 years old = 50%10-50 years old = 10%Over 50 years old = 30%Clinical features of appendicitis:Central abdominal pain moving to right iliac fossaNausea, vomiting, anorexiaLow-grade pyrexia (37.2-37.7 degree celsius)Localised tenderness in right iliac fossaRight iliac fossa peritonismPercussion tenderness is a kinder sign of peritonism than reboundRovsing's sign = pain in right iliac fossa on palpation of the left iliac fossa